Expression and consequent release of previously repressed emotion is
1. Regression
2. Passive aggression
3. Abreaction
4. Undoing

Correct answer: 3. Abreaction

Explanation: Abreaction is a process by which repressed material is remembered back, relived again along with expression of associated emotions.
It is a type of Catharasis (purging of emotions) used as therapy in few psychiatric disorders.